A previously healthy child has sudden onset of red spots on body. There is a history of a preceding viral infection 1-4 weeks before the onset.
1. Dengue fever
2. Hemophilia A
3. Thrombotic thrombocytopenic purpura
4. Idiopathic thrombocytopenic purpura

Correct answer: 4. Idiopathic thrombocytopenic purpura

Explanation: d. Idiopathic thrombocytopenic purpuraAcute onset purpura and thrombocytopenia in a previously healthy child, with preceding history of viral infection is suggestive of ITP